Which of the following is not compatible with ageing?
1. Decrease cross linkage
2. Decrease superoxide dismutase
3. Increase accumulation free radicals
4. Accumulated mutations in somatic cell

Correct answer: 1. Decrease cross linkage